Shock lung is better known as?
1. Alveolar proteinosis
2. Alveolar hemorrhage
3. Pulmonary edema
4. ARDS

Correct answer: 4. ARDS

Explanation: ANSWER: (D) ARDSREF: Robbin s pathology 7th ed p. 700 Radiology of chest diseases By Sebastian Lange, Geraldine Walsh, Geraldine Walsh, P321,http ://www.ncbi.nlm.nih.gov./pubmedhealth/PMH0001164/Synonyms of Acute respiratory distress syndrome are:Non-cardiogenic pulmonary edemaIncreased-permeability pulmonary edemaStiff lungShock lungARDSAcute lung injury